Aedes aegypticus transmits -
1. JE
2. KFD
3. Yellow fever
4. All

Correct answer: 3. Yellow fever

Explanation: Ans is 'c' i.e., Yellow fever